True about fat embolism -a) Seen one week after injuryb) Patechiec) Bradycardiad) Tachycardiae)  ↑ incidence in multiple #
1. abc
2. bde
3. ace
4. bce

Correct answer: 2. bde

Explanation: Clinical features are evident within 1-3 days. About 25 percent of patients develop symptoms within 12 hours and 75 percent within 36 hours.
Early warning signs are a slight rise in temperature (pyrexia) and tachycardia.
The classical triad of fat embolism syndrome is :-

i) Respiratory symptoms : Dyspnea, tachypnea, cyanosis, ARDS, low PO2.
ii)  Neurological symptoms : Confusion, disorientation, restlessness, irritation, delirium, convulsion, coma.
iii) Petechial rach : In axilla, neck, periumblical area, conjunctiva of lower lid, retina, front & beck of chest, shoulder.